Tattooing around the entry wound is seen in -
1. Close shot
2. Contact shot
3. Distant shot
4. All of the above

Correct answer: 1. Close shot

Explanation: Ans. is 'a' i.e., Close shot Contact shotClose shotDistant shoto The discharge from the muzzle consisting of the flame, powder metallic are blown the track taken by the bullet.o The discharge of muzzle is flame powder etc is within the fange of entrance woundo The discharge of muzzle isoutside the range of entrance woundo Consequently there may be no buring no soot, no tattooing around the entrance woundo Consequently wound is singed by flame, surrounded by soot (blackned) and shows tattoingo No burning, no tattooing, soot.o Skin surrounding the wound shows no -# No abraded collar# No grease collaro The skin surrounding the wound shows -* Abraded collar* Grease / dirt collaro The skin sorrounding the wound may be -* Abraded collar may be present* Dirt collar or grease collar presento Surrounding tissues may be cherry red incolour owing to presence offcarboxyhaemoglobino Carboxyhaemoglobin is present in the wound track in diminishing concentrations - Reddy (This explains cherry red colour of surrounding tissues)o Surrounding tissues may be cherry red due to present of carboxyhaemoglobino Wound may be -# Small and regular or# Larg and irregular (triangular, stellatecruciate)Q# Contact head wound result in undermined, ragged', stellate (star shaped), triradiate or cruciform wound with everted marginsQ from which lacerations (tears) over skin radiating outward from entrance hole because of expansion of gases between scalp and skullo The entrance wound is circular with inverted margins but the rebounding gases may level up or even evert the margino The wound is circular with inverted margins and may be of same size or even smaller than the bullet due to initial stretching of skin.